Calcified lesions are better seen on
1. USG
2. X-ray
3. CT
4. MRI

Correct answer: 3. CT

Explanation: CT is better in detecting calcification (eg. pericardial calcification, coronary calcification) bone injury, lung and chest imaging.